All of the following is used for hirsutism in female expect :
1. Spironolactone
2. Oxynandrolone
3. Finasteride
4. Flutamide

Correct answer: 2. Oxynandrolone

Explanation: Oxynandrolone